Formication and delusion of persecution, both are together seen in
1. LSD psychosis
2. Amphetamine psychosis
3. Cocaine psychosis
4. Cannabis psychosis

Correct answer: 3. Cocaine psychosis

Explanation: The complications of chronic cocaine use include acute anxiety reaction, uncontrolled compulsive behaviour, psychotic episodes (with persecutory delusions, and tactile and other hallucinations), delirium and delusional disorder. Formication is tactile hallucination of bugs crawling. Ref: Short textbook of Psychiatry by Niraj Ahuja, 7th editon, page 47.